Structures passing through the lateral part of superior orbital fissure are all except:
1. Lacrimal nerve
2. Trochlear nerve
3. Oculomotor nerve
4. Frontal nerve

Correct answer: 3. Oculomotor nerve